Not a sign of stellate ganglion block
1. Miosis
2. exopthalomoss
3. Nasal congestion
4. Conjunctival redness

Correct answer: 2. exopthalomoss

Explanation: Horner syndrome is a sign of stellate ganglion block (miosis, enopthalmos,ptosis, anhydrosis and absence of cliospinal reflex